Which of the following dieases is under surveillance by WHO for notification by National health Authorities -
1. Louse-borne typhus fever
2. Relapsing fever
3. Paralytic polio
4. All of the above

Correct answer: 4. All of the above

Explanation: Ans. is 'd' i.e., All of the above Diseases under international surveillance (WHO) o Rabies o Poliomyelitis o Salmonellosis o Louse born typhus fever o Malaria o Relapsing fever o Human influenza